True about alcoholic dependence syndrome:
1. Tolerance
2. Withdrawa
3. CAGE questionnaire
4. All

Correct answer: 4. All

Explanation: A i.e. Tolerance; B i.e. Withdrawal, C i.e. CAGE questionnaire